Calcium content is maximum in which milk?
1. Buffalo
2. Cow
3. Goat
4. Human

Correct answer: 1. Buffalo

Explanation: Calcium content in buffalo milk-210mg,cow-120mg,goat-170mg human milk-28.REF.PARK'S TEXTBOOK OF PREVENTIVE AND SOCIAL MEDICINE.Editon-21.Page no.-582 table 21.